Egg shell calcification is seen in – a) Bronchiolitisb) Silicosisc) Ca. bronchusd) Sarcoidosise) Histoplasmosis
1. abc
2. bde
3. ace
4. bce

Correct answer: 2. bde